A patient with clinical features of Glomerulonephritis is having granular staining on immune-fluorescence. All of the following causes have normal C3 except?
1. IgA Nephropathy
2. Henoch scholein purpura
3. Fibrillary GN
4. Cryoglobulinemia

Correct answer: 4. Cryoglobulinemia

Explanation: * Granular pattern on immunofluorescence is seen in immune complex mediated Glomerulonephritis * Cryoglobulinemia leads to low C3 and C4 Immune complex GN Low C3 Normal C3 PSGN MPGN SLE IE Cryoglobulinemia IgA nephropathy HSP Fibrillary and immunotactoid Glomerulonephritis